Advantage of using digoxin in CHF is:
1. It is used to provide relief of symptoms
2. It reverses the pathological changes of CHF
3. It prolongs the survival of CHF patient
4. All of these

Correct answer: 1. It is used to provide relief of symptoms

Explanation: Digitalis (By increasing cardiac contractility) and Diuretics (by decreasing fluid overload) are used as symptomatic therapy of CHF. These drugs do not retard cardiac remodelling or prolong survival in CHF patients.